First rank symptom of Schizophrenia are all except
1. Depersonalization
2. Running commentary
3. Primary Delusion
4. Somatic Passivity

Correct answer: 1. Depersonalization

Explanation: A i.e. Depersonalization